The exact part of the antigen that reacts with the immune system is called as
1. Clone
2. Epitope
3. Idiotope
4. Effector

Correct answer: 2. Epitope

Explanation: Option 1, 2 Epitope: Epitope or antigenic determinant is the smallest unit of antigenicity: 1. It is defined as a small area present on the antigen that is capable of sensitizing T- and B-cells and reacting with specific site of T-cell receptor or an antibody. 2. The specific site of an antibody that reacts with the corresponding epitope of an antigen is called as paratope. Option 3 Idiotypes: The unique amino acid sequence present in paratope region (in VH and VL regions) of one member of a species acts as antigenic determinant to other members of the same species: o Such antigenic determinants are called as idiotopes. Option 4 Functions of Immunoglobulins: 1. Antigen binding (by Fab region) 2. Effector functions (by Fc region)- Fixation of complement: Antibody coating the target cell binds to complement through its Fc receptor which leads to complement mediated target cell lysis. Binding to various cell types: Phagocytic cells, lymphocytes, platelets, mast cells, NK cell, eosinophils and basophils bear Fc receptors (FcR) that bind to Fc region of immunoglobulins.